A two year old child with a long history of purulent nasal discharge & fever now presents with conjunctival congestion and edema. His fever is 102deg/103degF and WBC count 12,000. The culture of eye discharge was negative. X-rays show opacification of ethmoid sinus. Which of the following should be the next step in evaluating this patient?
1. CT Scan
2. Urine Culture
3. Blood culture
4. Repeat culture of eye discharge

Correct answer: 1. CT Scan

Explanation: A patient presenting with long standing history of purulent nasal discharge, fever, opacification of sinus and development of conjunctival congestion with edema suggests a diagnosis of chronic sinusitis associated with orbital complications (orbital cellulitis or abscess). Therefore, a CT scan or ultrasound of the orbit should be next step in this patient's evaluation. Ref: Diseases of Ear, Nose and Throat By PL Dhingra, 4th Edition, Chapter 37 and 38; Handbook of Otolaryngology : Head and Neck Surgery By David Goldenberg, Bradley Goldstein